Facial nerve is a derivative of which of the following branchial arch?
1. First arch
2. Second arch
3. Third arch
4. Fourth arch

Correct answer: 2. Second arch

Explanation: Facial nerve is a derivative of second branchial arch. Muscles of facial expression derived from it are buccinator, auricularis, frontalis, platysma, orbicularis oris and orbicularis oculi. Additional muscles supplied by it are stapedius, stylohyoid, and posterior belly of digastric. Branchial arch Cranial nerve Muscles First mandibular Trigeminal Muscles of mastication: masseter, temporalis, medial and lateral pterygoid. Additional muscles: mylohyoid, anterior belly of digastric, tensor tympani, tensor veli palatini Third Glossopharyngeal Stylopharyngeus Fourth and sixth Superior laryngeal, recurrent laryngeal branches of vagus Pharyngeal and laryngeal muscles: cricothyroid, levator veli palatini, constrictors of pharynx, intrinsic muscles of larynx Ref: Neuroscience for the Study of Communicative Disorders By Subhash Chandra Bhatnagar page 279.